An inhaled foreign body is likely to lodge in the right lung due to all of the following features except:
1. Right lung is shorter & wider than left lung
2. Right principal bronchus is more vertical than the left bronchus
3. Tracheal bifurcation directs the foreign body to the right lung
4. Right inferior lobar bronchus is in continuation with the principal bronchus

Correct answer: 1. Right lung is shorter & wider than left lung

Explanation: A. i.e. Right lung is shorter and wider than left lung